A 25-years-old male had severe headache followed by unconsciousness. CSF tap revealed red blood cells. Most likely diagnosis is -
1. Subdural hematoma
2. Embolism
3. Tumour
4. Ruptured aneurysm

Correct answer: 4. Ruptured aneurysm